Joubert syndrome is associated with?
1. Autosomal dominant polycystic kidney diseases
2. Medullary cystic kidney disease
3. Nephronophthisis
4. Autosomal recessive polycystic kidney diseases

Correct answer: 3. Nephronophthisis

Explanation: Joubert syndrome Defined by multiple neurologic findings, including hypoplasia of the cerebellar vermis. Autosomal recessive disorder It include Nephronothisis as a component Most common presenting feature in the newborn period is an Abnormal breathing pattern Radiologic Finding- Molar tooth sign